Structure passes through upper triangular space:
1. Profunda brachii
2. Anterior circumflex humeral artery
3. Posterior circumflex humeral artery
4. Circumflex scapular artery

Correct answer: 4. Circumflex scapular artery

Explanation: Upper Quadrangular spaceIt has the following boundaries:- the teres major inferiorly- the long head of the triceps laterallyFor the superior border, some sources list the teres minor, while others list the subscapularis.It contains the scapular circumflex vessels.